Complement binding immunoglobulin the classical pathway is -
1. IgG & IgM
2. IgG & IgA
3. IgG & IgD
4. IgD & IgE

Correct answer: 1. IgG & IgM

Explanation: IgM is particularly effective at complement activation by binding to C1. IgG activates the classical pathway of the complement system, a cascade of immune protein production Ref: Ananthanarayan & Parker's textbook of microbiology 9th edition pf:98